A 16 year old student reported for the evaluation of multiple hypopigmented macules on the trunk and limbs. All of the following tests are useful in making a diagnosis of leprosy, except:
1. Sensation testing
2. Lepromin test
3. Slit smears
4. Skin biopsy

Correct answer: 2. Lepromin test

Explanation: B i.e. Lepromin test Lepromin test has no diagnostic value; it has only prognostic significanceQ as it tells about cell mediated immunity & classify the type of disease. Lepromin test is most positive in TT because cell mediated immunity is least suppressedQ